3 years old boy with a history of fever from a week has diffuse faint rashes, erythema of palms and soles, enlarged unilateral cervical nodes and strawberry tongue. The diagnosis is __________
1. Scarlet fever
2. Erythema infectiosum
3. Infectious mononucleosis
4. Kawasaki disease

Correct answer: 4. Kawasaki disease

Explanation: Kawasaki disease - It is acute febrile mucocutaneous lymph node syndrome affecting infant, children and young. The diagnostic criteria for Kawasaki disease are follow. Fever lastingfor atleast 5 days Presence of any 4 of the following 5 conditions. Bilateralnonpurulent conjunctival injection Changes in mucosa of oropharynx ( injected pharynx, injected lips , strawberry tongue ) Changes of peripheral extremities (edema, erythemaof hands or feet , desquamation ) Polymorphous rash Cervical lymphadenopathy Ref : Ghai pediatrics eighth edition pg no 631 ,632